Most common receptor for typical antipsychotics is -
1. D1
2. D2
3. D3
4. D4

Correct answer: 2. D2

Explanation: Ans. is 'b' i.e.. D2 ANTIPSYCHOT1CSo Antipsychotic (neuroleptic) drugs can be divided into typical and atypical.Typicalo Block D, receptorso Have significant extrapyramidal symptoms (except for thioridazine) - Parkinsonism, Acute muscular dystonia, Akathisia, Malignant neuroleptic syndrome. Tardive dyskinesia,o Drugs are1 .Phenothiazines - Chlorpromazine, Thioridazine, Trifluperazine, Fluphenazine.2. Thioxanthenes - Thiothixene, Flupenthixol.3 .Butyrophenones - Haloperidoi, Trifluperidol, Penfluridol.4. Other heterocyclics - Pimozide, Loxapine, sulpirideAtypicalo These are newer generation (second generation) antipsychotics that have weak D_, blocking but potent 5-HT2 antagonistic activity.o Called atypical because they have no D2 blocking property (except resperidone).o Extrapyramidal side effects are minimal (Resperidone can cause some extrapyramidal effects),o Have no antiemetic effect.o Examples are - Clozapine, Risperidone, Olanzapine, Quetiapine, Aripiprazole, Ziprasidone.